Arrange the following statements in order: Regarding slit skin smear steps: 1. Clean the site with methyl alcohol and pinch the skin tightly using thumb and index finger. 2. Fix the smear by moving the slide briefly over flame. 3. Make a cut on the skin fold using a scalpel and scrape out the fragments of tissue and fluid. 4. Spread the material obtained on a clean slide to make a smear of 8-10mm diameter. 5. Mark the slide with patient's identification number.
1. 5-1-3-4-2
2. 2-4-3-5-1
3. 5-1-3-2-4
4. 4-3-5-2-1

Correct answer: 1. 5-1-3-4-2

Explanation: Steps of slit skin smear: 1. Mark the slide with patient's identification number. 2. Clean the site with methyl alcohol and pinch the skin tightly using thumb and index finger. 3. Make a cut on the skin fold using a scalpel and scrape out the fragments of tissue and fluid. 4. Spread the material obtained on a clean slide to make a smear of 8-10mm diameter. 5. Fix the smear by moving the slide briefly over flame.